ranulomatous mastitis is caused by all except -
1. TB
2. Fungus
3. Staphylococcus
4. Antibodies to milk antigens

Correct answer: 3. Staphylococcus

Explanation: Ans. is 'c' i.e., Staphylococcus Granulomatous mastitis Granulomatous inflammation is present in less than I% of all breast biopsy specimens. The causes include systemic granulomatous disease (e.g., Wegener granulomatosis or sarcoidosis) that occasionally involve the breast, and granulomatous infections caused by mycobacteria or fungi. Infections of this type are most common in immunocompromised patients or adjacent to foreign objects such as breast prostheses or nipple piercings. Granulomatous lobular mastitis is an uncommon breast-limited disease that only occurs in parous women. The granulomatous inflammation is confined to the lobules, suggesting that it is caused by a hypersensitivity reaction to antigens expressed by lobular epithelium during lactation.